Amyloid is stained with:
1. Lugol's iodine
2. Methyl violet
3. Congo red
4. Sudan black

Correct answer: 3. Congo red

Explanation: Ans. C: Congo red